What is the best time to give oral psoralen with UVA?
1. Half n hour before UVA
2. 1 hour before UVA
3. Half n hour after UVA
4. 1 hour after UVA

Correct answer: 2. 1 hour before UVA

Explanation: Ans is'b' i.e. 1 hour before UVA Psoralens (mostly 8- MOP) is given orally 1-3 hours (average 2 hours) before exposure to UVA.